Formication and delusion of persecution, both are together seen in:
1. LSD psychosis
2. Amphetamine psychosis
3. Cocaine psychosis
4. Cannabis psychosis

Correct answer: 3. Cocaine psychosis

Explanation: C. i.e. Cocaine psychosis - Cocaine blocks reuptake of norepinephrine, dopamine & serotonin; impairs nerve conduction (LA action) and Vt hypertensionQ. Cocaine causes no physical dependence but moderate/strong psychological dependence. It is unique in not producing significant toleranceQ. lnfact paranoid psychosis observed with cocaine abuse is produced by sensitization (or reverse tolerance)Q. Cocaine cause tactile hallucinations (Magnan's symptoms or formication or cocaine bugs or feeling of creeping insects) and paranoid psychosis (delusions & hallucinations)Q